All of the following factors are used to assess intrauterine growth retardation, EXCEPT:
1. Fetal movements
2. Head size
3. Fundal height
4. Abdominal circumference

Correct answer: 1. Fetal movements

Explanation: Serial fundal height measurements are reasonably accurate screening method to detect intrauterine growth retardation (IUGR). With sonography, the most common method for establishing the diagnosis of fetal-growth restriction is the estimation of fetal weight using multiple fetal biometric measurements like head, abdomen, and femur dimensions. Fetal movements are not indicative of IUGR. Ref: Cunningham F.G., Leveno K.J., Bloom S.L., Hauth J.C., Rouse D.J., Spong C.Y. (2010). Chapter 38. Fetal Growth Disorders. In F.G. Cunningham, K.J. Leveno, S.L. Bloom, J.C. Hauth, D.J. Rouse, C.Y. Spong (Eds), Williams Obstetrics, 23e.